Modified Bloom Richardson criteria for Carcinoma Breast includes -
1. Desmoplasia
2. Lymphovenous embolism
3. Mitotic rate
4. All

Correct answer: 3. Mitotic rate

Explanation: Ans. is 'c' i.e. mitotic rateGrading of breast cancero Presently, most methods for grading use the previously cited three-tiered systems for describing tumor structure in terms of tubule formation, nuclear grade and mitotic count, with the latter usually expressed as the number of mitosis per 10 high- magnification field.o Each element is scored on a scale from 1 to 3 according to criteria of the specific grading system, and the final grade is determined by the sum of mitosis.o Totals of 3 to 5 indicate a well-differentiated or low-grade tumor; 6 to 7, a moderately differentiated or intermediate-grade tumor; and 8 to 9 , a poorly differentiated or high-grade tumor.o This method of scoring is known as the Nottingham combined histologic grade of Elston-Ellis modification of the Scarff-Bloom-Richardson grading system, often reported as a modified Scaff-Bloom-Richardson grade.Modified Bloom-Richarson histological grading Tubule formationo Score 1 :- >75% of tumor has tubulesScore 2 :- 10-75% of tumor has tubuleso Score 3 :- < 10% of tumor has tubulesNuclear size ( nuclear polymorphism)o Score 1 :- tumor nuclei similar to normal duct nuclei (2-3 x RBC)Score 2 :- Intermediate size nucleiScore 3 :- very large nuclei, usually vesicular with prominent nucleoliMitotic counto Score 1 :- 0-7 mitosis o Score 2 :- 8-14 mitosis o Score 3 :- > 15 mitosis